Temporary hardness of water is due to
1. Calcium and magnesium Bicarbonate
2. Calcium and magnesium carbonate
3. Potassium carbonate
4. Chlorine

Correct answer: 1. Calcium and magnesium Bicarbonate